Sacro - coccygeal teratoma tumour cells consists of Cells of
1. Ectoderm
2. Endoderm
3. Mesoderm
4. All of the above

Correct answer: 4. All of the above

Explanation: Sacro - coccygeal teratoma arises from totipotent Cells from node of Hensen. Hence it is composed of all 3 germ Cells i.e , Ectoderm, Endoderm , Mesoderm.